Sialograhy of normal salivary gland reveals the ductal architecture as having an appearance of
1. Sausage string
2. Fruit-Laden tree
3. Leafless tree
4. Bailin hand

Correct answer: 3. Leafless tree